The only cranial nerve which supplies a contralateral muscle is-
1. Third
2. Fourth
3. Seventh
4. Tenth

Correct answer: 2. Fourth

Explanation: "It is important to remember that cranial nerves never cross (except for one exception, the 4th cranial nerve) and clinical findings are always on the same side as the cranial nerve involved".
—Clinical neurology